The Investigation To Predict The Visual Outcome After Phacosurgery is -
1. Pachymeter
2. Potential Acuity meter
3. Lensometer
4. Topometer

Correct answer: 2. Potential Acuity meter

Explanation: Answer- B. Potential Acuity meterPotential acuity meters (PAMS) measure the VA that the patient is likely to achieve once there are no more opacifications of the ocular media of the eye.These clear areas are used to project a target (numbers, letters or stripes) onto the retina using a narrow light beam.PAM measurements have been shown to be especially reliable if patients with nuclear sclerotic cataracts are measured, but may be dificult if a posterior subcapsular cataract is present.